The failure rate of Condom with typical use is:
1. 10-14/HWY
2. 14- 17/HWY
3. 17-20/HWY
4. 20-25/HWY

Correct answer: 1. 10-14/HWY

Explanation: The failure rate of condom with Perfect use is 2 - 3/HWY Typical use is 10-14/HWY. PEARL INDEX OF DIFFERENT CONTRACEPTIONS: Male condoms - 2-14 / HWY Female condoms - 5-21 / HWY IUD - 1-5 / HWY OCPs - 0.1 - 2 /HWY Sterilization 0.1 / HWY Vaginal sponge - 9-20 / HWY - More effective method of sterilization is vasectomy > tubectomy.